Leflunomide used against Rheumatoid arthritis acts by inhibiting:
1. Ionisne monophosphate dehydrogenase
2. Dihydroorotate dehydrogenase
3. Aldehyde  dehydrogenase
4. TNF-α receptor

Correct answer: 2. Dihydroorotate dehydrogenase

Explanation: Leflunomide inhibits Dihydroorotate Dehydrogenase and inhibits synthesis of pyrimidine and arrests growth of B-cells.